Which of the following is a broad spectrum systemic antifungal agent ?
1. Econazole
2. Miconazole
3. Ketoconazole
4. Clotrimazole

Correct answer: 3. Ketoconazole